A female with H/O trophoblastic has ____% chances of developing trophoblastic disease in next pregnancy:
1. 2%
2. 5%
3. 8-12%
4. 15-20%

Correct answer: 1. 2%

Explanation: Ans. is a, i.e. 2%Ref. Williams 24/e, p 404, Dutta Obs. 8/e, p 226Friends: Remember both the values-specifically-risk of recurrence of trophoblastic disease in future pregnancies is 2% range is 1-4%